Total lung capacity depends upon :
1. Size of airway
2. Closing volume
3. Lung compliance
4. Residual volume

Correct answer: 3. Lung compliance

Explanation: C i.e. Compliance of lung